MC intracranial Brain tumor in adults
1. Astrocytoma
2. Mets
3. Meningioma
4. Oligodendroglioma

Correct answer: 2. Mets

Explanation: Ans. (b) MetsRef: Bailey 27th edition Page 663* MC brain tumor is Cerebral mets* MC primary to produce brain mets Lungs (40%) > Breast (15%)